A patient presented with renal cell carcinoma invading IVC and renal vein. False statement is:
1. Pre-op biopsy is not necessary
2. IVC involvement indicates inoperability
3. Pre-op radiotherapy is not essential
4. Chest X-ray should be done to rule out pulmonary metastasis

Correct answer: 2. IVC involvement indicates inoperability

Explanation: Patients with renal vein or IVC involvement by tumour but without evidence of metastatic disease remain surgical candidates. Occasionally, nephrectomy and removal of IVC tumour thrombus need to be done. Bench surgery and autotransplantation is performed for larger tumours in a solitary kidney. Chest X-ray should be done to rule out pulmonary metastasis .